The hormone associated with cold adaption is
1. Growth hormone
2. Thyroxine
3. Insulin
4. Melanocyte stimulating hormone

Correct answer: 2. Thyroxine

Explanation: Thyroxine increases the metabolism.